A trauma patient was brought to emergency. On evaluation,found to have metabolic acidosis and coagulopathy with liver and duodenal injury. Next step:
1. Damage control surgery
2. Liver repair
3. Whipples procedure
4. None of the above

Correct answer: 1. Damage control surgery

Explanation: The first step in trauma management is damage control. TRAUMA TRIAD OF DEATH: - Trauma triad of death: Hypothermia + coagulopathy + metabolic acidosis - Coagulopathy is most commonly responsible for death - Stages of DCS : Stage 1 : Patient selection Stage 2 : Operative control of hemorrhage & contamination Stage 3 : ICU resuscitation Stage 4 : Definitive surgery Stage 5 : Abdominal closure